If a patient comes with complaints of post dated pregnancy what is the first thing that you will do:
1. USG
2. NST
3. Review the menstrual history once more
4. X-ray abdomen

Correct answer: 3. Review the menstrual history once more

Explanation: Review the menstrual history once more